Which of the following is the most common method used to know depth of anaesthesia?
1. BIS
2. Oesophageal contractility
3. Depressed responses
4. Hypotension

Correct answer: 1. BIS

Explanation: Ans:A. BISBispectral index:1st scientifically validated & commercially available monitor to check depth of anaesthesia.Utilizes many parameters (EEG signals, eye blinks) to calculate depth score.Adequate depth:Score of 45-60.Fully awake state:Score of 100Completely silent brain: 0.